Which organ Putrefies last in females
1. Prostate
2. Uterus
3. Brain
4. Breast

Correct answer: 2. Uterus

Explanation: B i.e. Uterus